A 3-day-old boy delivered at 32 weeks of gestation is experiencing respiratory distress syndrome. The physician detects a heart murmur characteristic of a patent ductus arteriosus, a diagnosis that is confirmed with an echocardiogram. Which embryonic structure is involved in this diagnosis?
1. Left third aortic arch
2. Right third aortic arch
3. Left sixth aortic arch
4. Umbilical arteries

Correct answer: 3. Left sixth aortic arch

Explanation: C. Patent ductus arteriosus (PDA) is a condition in which the ductus arteriosus, a bloodvessel that allows blood to bypass the baby's lungs before birth, fails to normally close afterbirth. The ductus arteriosus is derived from the distal portion of the left sixth aortic arch